Inhibition of glycolysis by increased supply of O2 is called
1. Crabtree effect
2. Pasteur effect
3. Lewis effect
4. None

Correct answer: 2. Pasteur effect

Explanation: The Pasteur effect is an inhibiting effect of oxygen on the fermentation effect can be easily explained; as the yeast being facultative anaerobes can produce energy using two different metabolic pathways. While the oxygen concentration is low, the product of glycolysis, pyruvate, is turned into ethanol and carbon dioxide, and the energy production efficiency is low (2 moles of ATP per mole of glucose). If the oxygen concentration grows, pyruvate is converted to acetyl CoA that can be used in the citric acid cycle, which increases the efficiency to 32 moles of ATP per mole of glucose. Therefore, about 16 times as much glucose must be consumed anaerobically as aerobically to yield the same amount of ATP.